P.Q.L.I is
1. IMR, Life Expectancy at 1year of age, literacy
2. MMR, Life expectancy, literacy
3. MMR, IMR, Life expectancy
4. IMR, Life expectancy at 1 year of age, SE status

Correct answer: 1. IMR, Life Expectancy at 1year of age, literacy

Explanation: Physical Quality of Life Index (PQLI) is an attempt to measure the quality of life or well-being of a country. The value is the average of three statistics: basic literacy rate, infant mortality , and life expectancy at age one, all equally weighted on a 0 to 100 scale. HDI includes knowledge, income(GNI) and life expectancy at birth. Ref : Park's Textbook of Preventive and Social Medicine; 23rd edition